NPU of egg is
1. 90
2. 96
3. 6
4. 12

Correct answer: 2. 96

Explanation: NPU - Net Protein Utilization One of the best indicator of protein quality for recommending the dietary protein requirement NPU of egg is 96 (Highest); therefore Egg is the 'Reference protein' NPU of meat is 80 NPU of milk is 75 Rice -65 Soya -55